What is the macromolecular complex that associates with introns during mRNA splicing?
1. Splicer
2. Dicer
3. Nuclear body
4. Spliceosome

Correct answer: 4. Spliceosome

Explanation: A special multicomponent complex, the spliceosome, is involved in converting the primary transcript into mRNA. Spliceosomes consist of the primary transcript, five snRNAs (U1, U2, U4, U5, and U6) and more than 60 proteins, many of which contain conserved "RNP" and "SR" protein motifs. Ref: Weil P. (2011). Chapter 36. RNA Synthesis, Processing, & Modification. In D.A. Bender, K.M. Botham, P.A. Weil, P.J. Kennelly, R.K. Murray, V.W. Rodwell (Eds),Harper's Illustrated Biochemistry, 29e.